A Warthin's tumour is:
1. An adenolymphoma of parotid gland
2. A pleomorphic adenoma of the parotid
3. A carcinoma of the parotid.
4. A carcinoma of submandibular salivary gland

Correct answer: 1. An adenolymphoma of parotid gland

Explanation: Ans. is 'a' i.e. An adenolymphoma of parotid gland Warthin's tumourIt is also called papillary cystadenoma lymphomatosum because, histologically it consists of papillary cystic pattern with marked lymphoid component.Other important characteristics of Warthin's tumour.2nd most common* benign tumour of parotid gland (Ist is pleomorphic adenoma)*They are usually cysticTypically occur in 6th and 7th decades*More common in males*B/L in about 10%*Histological feature : -Consists of papillary cystic pattern with marked lymphoid component.Unlike all other neoplasms which form a 'cold' spot the adenolymphoma produces a 'hot spot' in a 99mTc - pertechnetate scan*, so that a firm preoperative diagnosis is possible without biopsy.